Normal pressure spontaneous CSF leak associated with all except -
1. Meningocele
2. Partial or complete empty sella syndrome
3. Pseudotumour cerebri
4. Low risk encephalocoele

Correct answer: 3. Pseudotumour cerebri